Which of the following are characteristic of diabetes mellitus:
1. Encephalopathy
2. Myelopathy
3. Neuropathy
4. Myopathy

Correct answer: 3. Neuropathy

Explanation: Answer is C (Neuropathy) Neuropathy and Retinopathy are characteristic complication of Diabetes Mellitus. Characteristic complications of DM Microvascular Macro vascular Retinopathy Peripheral vascular disease Neuropathy Coronary Artery Disease Nephropathy Cerebrovascular disease